Which of the following amino acid can produce oxaloacetate directly in a single reaction?
1. Alanine
2. Cysteine
3. Threonine
4. Aspartate

Correct answer: 4. Aspartate

Explanation: Alanine, Cysteine and Threonine can also produce oxaloacetate but pyruvate only. Aspartate can directly produce oxaloacetate in a single step, i.e. transamination reaction.